To counter central anticholinergic effect, drug used is:
1. Physostigmine
2. Atropine
3. Neostigmine
4. Hyoscine

Correct answer: 1. Physostigmine

Explanation: Physostigmine